Thalidomide, used for multiple myeloma, is :
1. Associated with diarrhea
2. Characterized by enantiomeric interconversions
3. Metabolized extensively by hepatic CYP system
4. Safe for use in pregnant females

Correct answer: 2. Characterized by enantiomeric interconversions